Bezold's abscess is located in ?
1. Submandibular region
2. Sternocleidomastoid
3. Digastric triangle
4. Infratemporal region

Correct answer: 2. Sternocleidomastoid

Explanation: Ans. is 'b i.e., Sternomastoid muscle A Bezold abscess is a complication of acute otomastoiditis where the infection erodes through the cortex medial to the attachment of sternocleidomastoid, at the attachment site of the posterior belly of the digastric muscle, and extends into the infratemporal fossa.